Typically bilatyeral inferior subluxations of the lens is seen in -
1. Marfan's syndrome
2. Homocystinuria
3. Hyperinsulinemia
4. Ocular trauma

Correct answer: 2. Homocystinuria

Explanation: In Homocystinuria there is inferomedial (inferonasal) dislocation of lens. (Ref: Khurana 7th/e p.222 & 4th/e p.202)